When using diamond instrument for tooth cutting without coolants, they produce:
1. Same damaging heat as compared to carbide bur
2. Less damaging  heat  as compared to carbide bur
3. More damaging heat as compared to carbide bur
4. None of the above

Correct answer: 3. More damaging heat as compared to carbide bur

Explanation: Carbide burs are better for end cutting, produce lower heat and have more blade edges per diameter for cutting.